In rheumatoid arthritis which part of spinal column is involved -
1. Cervical
2. Dorsal
3. Lumbar
4. Sacral

Correct answer: 1. Cervical

Explanation: Ans. is 'a' i.e., Cervical Articular manifestations in rheumatoid arthritis* Rheumatoid arthritis can affect any of the synovial joints.* Most commonly the disease starts classically in the joints of hand and feet i.e. PIP, MCP and MTP with involvementof large joints occurring later.A) The hands# These are the major site of involvement in almost all patients with rheumatoid arthritis.# Of particular importance is the sparing of distal interphalangeal joint# Most commonly the disease starts in proximal interphalangeal joint. (PIP), and metacarpophalangeal joint (MCP).B) The Feet# Metatarsophalangeal joints are particularly involved in almost all cases of rheumatoid arthritis and are second only to hand involvement.C) Wrist# Involved in most patients; radial deviation is the rule.D) Large joints# Involvement of large joint (knee, elbows, hips and shoulders) is common but occurs somewhat later than small joint.E) Other joints# Upper cervical spine (facet joint) with atlantoaxial subluxation and temporomandibular joint.Symmetric involvement of the joint is also an important feature of articular involvement in rheumatoid arthritis.